In Postoperative room after thyroid surgery Pt. developed sudden respiratory distress, dressing was removed and it was found to be slightly blood stained and wound was bulging. What will be first thing to be done -
1. Tracheostomy
2. Cricothyroidotomy
3. Laryngoscopy and intubation
4. Remove the stitch and take the Pt. to O.T.

Correct answer: 4. Remove the stitch and take the Pt. to O.T.